Most common cause of brain metastases
1. Lung
2. Liver
3. Breast
4. Melanoma

Correct answer: 1. Lung

Explanation: Origin PercentageLung 40Breast 15Melanoma 10Renal/genitourinary 10Other/unknown 25Ref: Bailey and love 27e pg: 664